Devi, a 28 year female, has diarrhea, confusion high grade fever with bilateral pneumonitis. The diagnosis is -
1. Legionella
2. Neisseria meningitidis
3. Streptococcus pneumoniae
4. H. influenzae

Correct answer: 1. Legionella

Explanation: Atypical Pneumonia– 4th MC cause of community-acquired pneumonia (CAP)
1st three cause of CAP are Streptococcus pneumoniae, Haemophilus influenzae, Chlamydia pneumonia